Frigidity is -
1. Inability to initiate sexual arousal in female
2. Inability to initiate sexual arousal in male
3. Ejaculation occurring immediately after penetration
4. None

Correct answer: 1. Inability to initiate sexual arousal in female

Explanation: Ref: Synopsis of Forensic medicine and Toxicology 28th edition (Dr.K.S.Narayana Reddy) Pg 200 Frigidity is the correct term for impotence in the female. In other words, it refers to a difficulty or inability to take part in sexual intercourse by a female. It is can be either permanent frigidity or temporary frigidity. Permanent frigidity can be due to sexual aversion disorder or female sexual arousal disorder. Temporary frigidity can be due to Dyspareunia or vaginismus. Inability to initiate sexual arousal in male is called impotence or erectile dysfunction. Ejaculation occurring immediately after penetration is called premature ejaculation.